Starting point of ketone body synthesis -
1. Acetyl CoA
2. Acetoacetate
3. Beta hydroxy butyrate
4. Propionyl CoA

Correct answer: 1. Acetyl CoA

Explanation: The starting point of ketone body synthesis is Acetyl CoA. Acetyl CoA gets converted to ketone bodies. But Acetyl CoA cannot be converted to glucose. It only activates gluconeogenesis. Reasons of K.B. Synthesis: | Lipolysis | Acetyl CoA or | OAA (Oxaloacetate)